Drug of choice in herpes simplex encephalitis is :
1. Acyclovir
2. Vidarabine
3. Interferon
4. Amantadine

Correct answer: 1. Acyclovir